Haustrations are present in -
1. Duodenum
2. Ileum
3. Jejunum
4. Colon

Correct answer: 4. Colon

Explanation: Ans. is 'd' i.e., Colon o Characteristic features of large intestine (colon) arei) 3 longitudinal bands, formed by longitudinal muscle coat, called Taeniae coli.ii) Sacculation or haustrationiii) Fat filled peritoneal pouches called appendices epiploicae. These are not found in appendix, caecum and rectum.iv) Greater part is fixed except for appendix, transverse colon and sigmoid colon.v) Pyere's patches (present in small intestine) are not present.